Covalent bond is seen in ?
1. Hydrogen bond
2. Disulphide bond
3. Electrostatic bond
4. Ionic bond

Correct answer: 2. Disulphide bond

Explanation: Ans. is 'b' i.e., Disulphide bond There are two types of interactions between molecules that stabilize molecular structure ?1) Covalent bonds: These are the strongest bonds.Examples are :?Peptide bondsDisulphide bonds2) Non-Covalent bonds: These are relatively weak bonds.Examples are :?Electrostatic interactions (ionic bonds or salt bridges)Hydrogen bondsHydrophoic interactionsVan Der Waal's forces (weakest bonds)